All of the following are true for pseudopelade of brocq except?
1. Scarring Alopecia
2. Inflammation is absent
3. Foot print in snow appearance is seen
4. Presence of pustules

Correct answer: 4. Presence of pustules

Explanation: Pseudopelade of brocq Scarring Alopecia Inflammation is absent Absence of pustules Foot print in snow appearance is seen